Latest drug used for treatment of MDR TB patients is ?
1. Bedaquiline
2. Amithiozone
3. Capreomycin
4. Linezolid

Correct answer: 1. Bedaquiline

Explanation: Ans. is'a'i.e., Bedaquiline (Ref: Principles and practice of infectious diseases by lohn E. Bennet, p. 4741Bedaquiline:It is a diaryl quinolone.It acts by inhibiting M. tuberculosis adenosine triphosphate synthase.FDA has approved bedaquiline for the management of drug resistant tuberculosis with a black box warning, relating to possible cardiac toxicity and sudden death.